What is the cut off value for Mid Upper Arm circumference (MUAC) to diagnose severe malnutrition?
1. 11.5 cms
2. 12.5 cms
3. 13.5 cms
4. 14.5 cms

Correct answer: 1. 11.5 cms

Explanation: Ans. A. 11.5cmsMUAC is widely used measurement and requires minimum equipment. It increases rapidly in the first year (11-16cms) and then is found to be relatively stable between the ages 1 and 5 years at a value of 16-17cms. Any value below 13.5cms is abnormal and suggestive of malnutrition. However, a value below 11.5cms is suggestive of severe malnutrition.